Which of the following statements about Chlamydia trachomatis is true:
1. May be isolated on artificial media by culture of purulent endocervical discharge
2. Most genital chlamydial infections are symptomatic
3. Use of OCP is associated with increased risk of asymptomatic chlamydial infection
4. Penicillin is the drug of choice for treatment

Correct answer: 3. Use of OCP is associated with increased risk of asymptomatic chlamydial infection

Explanation: Patients on treatment with oral contraceptives have a increased risk of asymptomatic chlamydial infections. Ref: Clinical Obstetrics and Gynaecology by Brian A. Magowan, Philip Owen, James Drife, Pages 126-128.